Features of Gartner's cyst are all except
1. Well defined margins
2. Cough impulse present
3. Not reducible
4. Rugosities of vaginal mucosa lost

Correct answer: 2. Cough impulse present

Explanation: Cough impulse is absent in gartner's cyst.